Thyroxine is synthesized from which amino acid
1. Arginine
2. Lysine
3. Methionine
4. Tyrosine

Correct answer: 4. Tyrosine

Explanation: The thyroid hormones, triiodothyronine (T3)and thyroxine (T4), are tyrosine-based hormones produced by the thyroid gland that are primarily responsible for regulation of metabolism. Iodine is necessary for the production of T3 and T4. A deficiency of iodine leads to decreased production of T3 and T4, enlarges the thyroid tissue and will cause the disease known as goitre.Ref: Ganong's review of medical physiology; 24th edition; page no-341